Long acting corticosteroid is ?
1. Triamcinolone
2. Betamethasone
3. Hydrocortisone
4. Prednisolone

Correct answer: 2. Betamethasone

Explanation: Ans. is 'b' i.e., Betamethasone Short acting glucocorticoids (t1/2 : 8-12 hrs.) : Cortisol, hydrocortisone. Intermediate acting glucocorticoids (t1/2 : 12-36 hrs.) : Prednisolone, methylprednisolone, triamcinolone. Long acting glucocorticoids (t1/2 : 36-54 hrs.) : Dexamethasone, betamethasone.